True about wound healing :
1. Infected wound heal by primary intention
2. Scar is least in secondary intention
3. Wound contraction is found in healing by secondary intention
4. More intense famantory response in primary intention

Correct answer: 3. Wound contraction is found in healing by secondary intention

Explanation: Classification of wound closure and healing Primary Intention Wound edges opposed Normal healing Minimal scar Secondary Intention Wound left open Heals by granulation, contraction, and epithelialization Increased inflammation and proliferation Poor scar Tertiary intention (also called delayed primary intention) Wound initially left open Edges later opposed when healing conditions favorable